In all of the following conditions neuraxial blockade is absolutely contraindicated, EXCEPT:
1. Patient refusal
2. Coagulopathy
3. Severe hypovolemia
4. Pre-existing neurological deficits

Correct answer: 4. Pre-existing neurological deficits

Explanation: Pre-existing neurologic deficit is not an absolute contraindication for neuraxial blockade. Strong contraindications to neuraxial block includes: Patient refusal Exposing the neural structures to unacceptable risk of injury Patient's inability to maintain stillness during the needle puncture Raised intracranial pressure, which theoretically may predispose to brainstem herniation Ref: Miller's Anesthesia, 6th Edition, Page 1655 ; Essential Anesthesia: From Science to Practice By T. Y. Euliano, 2nd Edition, Page 54